All are common oral manifestations of HIV except?
1. Candidiasis
2. Aphthous ulcers
3. Hairy leukoplakia
4. Lichen planus

Correct answer: 4. Lichen planus

Explanation: Ans. is 'd' i.e., Lichen planus Oral manifestations of HIV/AIDSFungal infectionsOral candidiasis (erythematous & pseudo membranous type)HistoplasmosisCryptococcosisViral diseasesHerpes simplexHerpes zosterHPV (warts)CMVHairy leukoplakia & HBVBacterial infectionsPeriodontal disease (linear gingival erythema, necrotizing ulcerative gingivitis (NUG) and necrotizing ulcerative periodontitis NUP))MAC infectionNeoplastic lesionsKaposi's sarcomaLymphomaOther lesionsSalivary Gland Disease and xerostomiaRecurrent Aphthous Ulcerations (RAU)Angular cheilitis idiopathic thrombocytopenic purpura (ITP)